Which of the following leukotrienes helping in Leukocyte adhesion?
1. LTB4
2. LTD4
3. LTE4
4. LTC4

Correct answer: 1. LTB4

Explanation: ACTION METABOLITE Vasoconstriction Thromboxane A2, leukotrienes C4, D4, E4 Vasodilation PGI2, PGE2, PGD2 Increased vascular permeability Leukotrienes C4, D4, E4 Chemotaxis, leukocyte adhesion LTB4, lipoxins Ref: Robbins Pathology 7th Ed Page 69.